Which of the following is not a complete sterilization agent -
1. Glutaraldehyde
2. Absolute alcohol
3. Hydrogen peroxide
4. Sodium hypochlorite

Correct answer: 2. Absolute alcohol